LES sphineter is relaxed by -
1. Nitrates
2. HL blockers
3. Morphine
4. All

Correct answer: 1. Nitrates

Explanation: Answer is 'a' i.e. Nitrates